Myoclonus in children is best treated by :
1. Clonazepam
2. Sodium Valproate
3. Phenobarbitone
4. Ethosuximide

Correct answer: 2. Sodium Valproate